Which of the following vitamins is the precursor of CoA?
1. Riboflavin
2. Pantothenate
3. Thiamine
4. Cobalamin

Correct answer: 2. Pantothenate

Explanation: Pantothenate is the precursor of CoA, which participates in numerous reactions throughout the metabolic scheme. CoA is a central molecule of metabolism involved in acetylation reactions. Thus a deficiency of pantothenic acid would have severe consequences. There is no documented deficiency state for pantothenate, however, since this vitamin is common in foodstuffs. Note: Pantothenic acid has a central role in acyl group metabolism when acting as the pantetheine functional moiety of coenzyme A or acyl carrier protein (ACP). Ref: Bender D.A. (2011). Chapter 44. Micronutrients: Vitamins & Minerals. In D.A. Bender, K.M. Botham, P.A. Weil, P.J. Kennelly, R.K. Murray, V.W. Rodwell (Eds), Harper's Illustrated Biochemistry, 29e.